Commonest Primary site of Kurkenberg tumour is:
1. Breast
2. Colon
3. Stomach
4. Small intestine

Correct answer: 3. Stomach

Explanation: Stomach